A syndrome of multiple congenital anomalies including microcephaly, cardiac anomalies and growth retardation has been described in children of women who are heavy users of:
1. Amphetamines
2. Barbiturates
3. Heroin
4. Ethyl alcohol

Correct answer: 4. Ethyl alcohol

Explanation: Teratogenecity of alcohol is the Fetal alcohol syndrome(dose related) which includes pre and post natal growth restriction,facial abnormalities like shortened palpebral fissure,low set ears,smooth philtrum,thinned upper lip, and mid facial hypoplasia CNS defects like microcephaly,intellectual disability and behavioral disorders. TEXT BOOK OF OBSTETRICS,Sheila Balakrishnan,2nd edition,page no.565